Tendon Xanthomas are seen in
1. Familial hyper cholesterolemia
2. Familial hyper lipidemia
3. Familial beta lipoprotenemia
4. Familial lipoprotein lipase deficiency

Correct answer: 1. Familial hyper cholesterolemia